All cranial nerves have parasympathetic component except:
1. Oculomotor nerve
2. Abducens nerve
3. Facial nerve
4. Vagus nerve

Correct answer: 2. Abducens nerve

Explanation: Ans: b (Abducens nerve) Ref: Chaurasia,ed, 334 Table 25.1Cranial nerves with parasympathetic outflow-3,7,9,10Parasympathetic supply is mainly via cranio-sacral outflow whereas the sympathetic outflow is thoracolumbarThe parasympathetic ganglia are:* Submandibular ganglion* Pterygopalatine ganglion* Otic ganglion* Ciliary ganglionBRIDGECranial nerves that absorb CSF- 1, 2, 7 ,8Nucleus tractus solitaries 7, 9. 10 Nucleus